Young lady presents with acute abdominal pain and history of 1 1/2 months amenorrhoea on USG examination there is a collection of fluid in the pouch of Douglas and empty uterine cavity. Diagnosis is
1. Ectopic pregnancy
2. Pelvic hematocele
3. Threatened abortion
4. Twisted ovarian cyst

Correct answer: 1. Ectopic pregnancy

Explanation: Ans-A ectopic pregnancy (Ref Dutta, 6/e, p 186 (5/e, p. 198, 4/e, pl98)).History of amenorrhoea and absence of gestational sac and collection of fluid in the pouch of Douglas leaves no doubt about the diagnosis of ectopic pregnancy.